A problem village is one wrhere -
1. Source of water > 1[?]6 km away
2. Water available > 15 meters depth
3. Excess of fluoride in water
4. All of the above

Correct answer: 4. All of the above

Explanation: Ans. is i.e., All of the above o A problem village has been defined as oneWhere no source of safe water is available within a distance of 1.6 km, or Where water is available at a depth of more than IS meters, orWhere water source has excess salinity, iron, fluorides and other toxic elements, orWhere water is exposed to the risk of cholera.